Increased risk factor for carcinoma breast is
1. BRCA1 mutation
2. Breast feeding
3. Multiparity
4. Smoking

Correct answer: 1. BRCA1 mutation

Explanation: Risk factors of breast carcinoma Mutation of tumour suppressor genes BRCA1/BRCA2 is thought to be involved with high-risk of breast carcinoma Diet low with phytoestrogens and high alcohol intake have high-risk of breast cancer. Vitamin C reduces the risk. It is more common in nulliparous woman. Attaining early menarche and late menopause have high-risk of breast malignancy. Early child-bearing and breastfeeding reduces the chances of malignancy. Early 1st child birth reduces the risk; late first child birth after 35 years increases the risk. It is more common in obese individuals Ref; (page no;530 ) 5th edition of SRB'S manual of Surgery.